Vineyard sprayer's lung is seen in which metal poisoning
1. Arsenic
2. Mercury
3. Lead
4. Copper

Correct answer: 4. Copper

Explanation: Vineyard sprayer's lung: Persons engaged in spraying copper sulphate in vineyards due to chronic inhalation of copper sulphate show features of granulomatous lung and liver damage. Ref: FORENSIC MEDICINE AND TOXICOLOGY Dr PC IGNATIUS THIRD EDITION PAGE 430